LASER used in removing posterior capsular opacification:
1. Nd YAG
2. Helium
3. Femtolaser
4. Argon

Correct answer: 1. Nd YAG

Explanation: Nd YAG laser is used for posterior capsulotomy. Opacification can be of two types: Anterior capsular opacification. Posterior capsular opacification. Posterior capsular opacification can be of two types: Soemeering Ring. Elsching pearls. Prevention: Polishing of posterior capsule intra-operatively. Using of square edge design IOL. Treatment: Nd YAG Capsulotomy.